Henoch-Schonlein purpura is characterized by the following except?
1. Glomerulonephritis
2. Hematochezia
3. Thrombocytopenia
4. Palpable purpura

Correct answer: 3. Thrombocytopenia

Explanation: c. Thrombocytopenia(Ref: Nelson's 20/e p 1216-1217', Ghai 8/e p 632-633)Kidney involvement (glomerulonephritis) & bowel involvement (blood in stools, abdominal pain) can be seen in HSP.